Hormonal contraceptives have following benefit except
1. Increased bone density
2. Prevention of Atherogenesis
3. Decreased activity of Rheumatoid arthritis
4. Increase leucocyte count and immunity

Correct answer: 4. Increase leucocyte count and immunity

Explanation: Providing immunity is not a benefit of hormonal contraceptives.